All are absolute contraindication of OCP except:
1. Pregnancy
2. Thromboembolic disorder
3. Hepatic failure
4. Endometriosis

Correct answer: 4. Endometriosis

Explanation: Ans. D. EndometriosisOCP are contraindicated in pregnancy, hepatic renal failure, thromboembolic disorder, breast CA, hypertension, diabetes. But in case of endometriosis, it regulates the irregular bleeding which is non-contraceptive use of OCP.